Cofactor of carbonic anhydrase is
1. Molybdenum
2. Zinc
3. Copper
4. Selenium

Correct answer: 2. Zinc

Explanation: The active site of most carbonic anhydrases contains a zinc ion; they are therefore classified as metalloenzymes. One of the functions of the enzyme in animals is to interconvert carbon dioxide and bicarbonate to maintain acid-base balance in blood and other tissues and to help transport carbon dioxide out of tissues.